True about blood supply of scaphoid?
1. Mainly through ulnar artery
2. Major supply from ventral surface
3. Major supply from dorsal surface
4. Proximal supply in antegrade fashion

Correct answer: 3. Major supply from dorsal surface

Explanation: Major blood supply (70-80%) of scaphoid comes through dorsal surface dorsal branches of radial artery.These dorsal vessels enter the scaphoid at or just distal to waist area and supply the proximal pole in retrograde fashion.